Which of the following is multipennate muscle:
1. Flexor pollicis longus
2. Extensor pollicis longus
3. Deltoid
4. Flexor hallucis longus

Correct answer: 3. Deltoid

Explanation: Deltoid is a multipennate muscle Multipennate muscle has fiber bundles which converge to several tendons.